Which of the following antitubercular drugs can be used in patients with hepatic dysfunction?
1. Streptomycin
2. INH
3. Pyrazinamide
4. Rifampicin

Correct answer: 1. Streptomycin

Explanation: Ans. (A) Streptomycin(Ref: KDT 8th/e p820)Ethambutol and streptomycin are first line anti-tubercular drugs that are NOT hepatotoxic.